A 70 year old alcoholic presents with abdominal pain, lump in the RUQ and weight loss. No history of upper or lower Gl symptoms. USG shows 10 x 10 cm mass in the right lobe of liver. Which serum marker will be helpful in diagnosis?
1. Serum calcitonin
2. CA19-9
3. Alkaline phosphatase
4. Alpha-fetoprotein

Correct answer: 4. Alpha-fetoprotein

Explanation: Answer: d) Alpha-fetoprotein (ROBBINS 9th ED, P-337)A 70 year old chronic alcoholic with abdominal pain, weight loss & lump in the RUQ suggests liver cancer. AFP is the tumor marker which is raised in liver cancerTUMOR MARKERSMarkersAssociated cancersNon neoplastic conditionsHuman chorionic gonadotropinTrophoblastic tumors, non- seminomatous testicular tumorsPregnancyCalcitoninMedullary carcinoma of thyroid a-fetoprotein (AFP)Liver ca, non-seminomatous testicular germ cell tumors (especially yolk sac tumors)Cirrhosis, hepatitisCarcinoembryonic antigen (CEA)Cancer of colon, pancreas, lung, stomach, heartPancreatitis, hepatitis, smoking, inflammatory bowel diseaseCA-125Ovarian cancer, some lymphomasMenstruation, peritonitis, pregnancyCA-19-9Colon, pancreatic & breast cancer, CholangiocarcinomaPancreatitis, ulcerative colitis Cholangitis, patients who lack the Lewis blood type antigenCA-15-3,CA 27-29Breast cancer S-100, HMB-45Melanoma CD 30Hodgkin's disease, Anaplastic large cell carcinoma CD25Hairy cell leukemia Adult T-cell leukemia